A patient Raj Kishore was given pilocarpine. All of the following can be the features seen in him except:
1. Sweating
2. Salivation
3. Miosis
4. Cycloplegia

Correct answer: 4. Cycloplegia

Explanation: Pilocarpine is a cholinergic drug , so it can cause sweating, salivation and miosis by its action on muscranic receptors. Cycloplegia is caused by anti-cholinergic drugs. Organ Parasympathetic stimulation Sympathetic stimulation Heart Depresses Stimulates Bronchus Bronchoconstriction Bronchodilation GIT Dilates Constricts Bladder Increase urine Decrease urine Glands Increase secretion Decrease secretion Pupil Miosis Mydriasis